Bicornuate uterus is due to :
1. Incomplete fusion of uterine cavity
2. Incomplete fusion of paramesonephric duct
3. Incomplete fusion of mesonephric duct
4. Incomplete formation of vagina

Correct answer: 2. Incomplete fusion of paramesonephric duct

Explanation: Incomplete fusion of paramesonephric duct Mullerian duct is synonymous to paramesonephric duct whereas wolffian duct is synonymous of Mesonephric duct. Bicornuate uterus is due to incomplete fusion of Mullerian / Paramesonephric ducts. Extra Edge Fate of Para mesonephric Ducts (Mullerian ducts)o In Females Males It forms They remain rudimentary Fallopian tubes * The cranial end of each duct persists as appendix of testis. Uterus * It forms the prostatic utricle corresponding to vagina & uterus Upper 3/4 of the vagina